A community has a population of 10,000 and a birth rate of 36 per 1000.5. Maternal deaths were reported in the current year; the MMR is:
1. 14.5
2. 13.8
3. 20
4. 5

Correct answer: 2. 13.8

Explanation: Maternal Mortality Rate = Total no. of Pregnancy Related Maternal deaths in a year x 1000 Total no. of live Births in the same area & year Birth rate = 36/1000 Therefore total no of live births in the whole population (i.e. 10,000) = 36 x 10 = 360 No. of maternal deaths = 5 Therefore MMR= (5/360) x 1000 = 13.8 Ref: Park's Textbook of Preventive and Social Medicine By K. Park, 19th Edition, Pages 23, 444.